Fixed splitting of S2 may be seen in all except:
1. Pulmonary embolism
2. PS
3. ASD
4. LBBB

Correct answer: 4. LBBB

Explanation: Answer is D (LBBB) LBBB is associated with reversed or paradoxical spitting of S2 and not with fixed splitting. Fixed splitting Fixed splitting of S2 is said to be present when the split does not vary with respiration and is present in both inspiration and expiration This occurs due to minimum change in volume of right heart during inspiration and expiration Causes of Fixed (wide) split ASD (Most characteristic cause for wide fixed splitting) Pulmonic Stenosis Acute Right Heart Failure (Pulmonary Embolism)